A 68-year-woman with hypertension and dyslipidemia presents with 30 minutes of retrosternal chest pain radiating to her neck. She is diaphoretic and in moderate distress. The ECG shows ST-segment elevation in the inferior leads. Which of the following mechanisms is the most likely cause of her condition?
1. coronary plaque rupture
2. aortic inflammation
3. pericardial inflammation
4. vasculitis

Correct answer: 1. coronary plaque rupture

Explanation: Acute rupture of an atherosclerotic plaque is now recognized as the most common cause of ST-elevation MI. Pericarditis has diffuse ST elevation in multiple leads and aortic stenosis does cause angina but not ST elevation.